Nuclear bag fibers arc related to:
1. Force
2. Length
3. Tone
4. Length and velocity

Correct answer: 4. Length and velocity

Explanation: Ans. d. Length and velocity